Which of the following is also known as first dental elastomers?
1. Polysulphides
2. Condensation silicone
3. Addition silicone
4. Polyether

Correct answer: 1. Polysulphides

Explanation: POLYSULFIDES:
This was the first elastomeric impression material to be introduced (1950). It is also known as Mercaptan or Thiokol.